Pectinate line is an important landmark because?
1. It marks a divide in nerve supply
2. It marks the location of change in type of epithelium
3. It represents a lymphatic and venous divide
4. All of the above

Correct answer: 4. All of the above

Explanation: All of the above